Mini mental status is :
1. Method to investigate common psychiatric problem
2. 30 point test to evaluate cognitive function
3. To evaluate schizophrenia
4. Instrument to measure delirium

Correct answer: 2. 30 point test to evaluate cognitive function

Explanation: The Mini Mental Status Examination (MMSE) is an easily administered 30 - point test of cognitive function.